False regarding Cytochrome P 450 is ?
1. They are essential for the production of cholesterols, steroids, prostacyclins and thromboxane A2
2. They absorb light with 45nm wavelength
3. They occur predominantly in liver
4. They are non heme proteins

Correct answer: 4. They are non heme proteins

Explanation: Ans. is d i.e., They are non heme proteins CYTOCHROME P450 They CYP450 are essential for the production of cholesterols, steroids, prostacyclins and thromboxane A2. They are also essential for the metabolism of foreign chemicals and detoxification of drugs. CYP 450 enzymes are so named because they are bound to membranes within a cell (cyto) and contain a heme pigment (chrome and P) that absorbs light at a wavelength of 450 nm when exposed to carbon monoxide. There are more than 50 CYP450 enzymes, but the CYP1A2, CYP2C9, CYP2C19, CYP2D6, CYP3A4, and CYP3A5 enzymes metabolize 90 percent of drugs.